In differentiating seizures from syncope, all the following features favor the former (seizures) except
1. Clear focal onset
2. Convulsive muscular contractions
3. Clear sensorium after the event
4. Tongue biting

Correct answer: 3. Clear sensorium after the event

Explanation: (C) Clear sensorium after the event FEATURES THAT DISTINGUISH GENERALIZED TONIC-CLONIC SEIZURE FROM SYNCOPEFeaturesSeizureSyncope* Immediate precipitating factorsUsually noneEmotional stress, Valsalva,* Orthostatic hypotension, cardiac etiologies * Premonitorysy mptomsNone or aura (e.g., odd odor)Tiredness, nausea, diaphoresis, tunneling of visior* Posture at onsetVariableUsuallyerect* Transition to unconsciousnessOften immediateGradual over secondsa* Duration of unconsciousnessMinutesSeconds* Duration of tonic or clonic movements30-60sNever more than 15 s* Facial appearance during eventCyanosis, frothing at mouthPallor* Disorientation and sleepiness after eventManyminutes to hours<5 min* Aching of muscles after eventOftenSometimes* Biting of tongueSometimesRarely* IncontinenceSometimesSometimes* HeadacheSometimesRarely